Increased bleeding time is seen in all except :
1. Thrombocytopenia
2. Von Willebrand disease
3. Hemophilia
4. Ehlers danlos syndrome

Correct answer: 3. Hemophilia